Neocerebellum is concerned with
1. Eye movements
2. Motor planning
3. Equilibrium
4. Motor execution

Correct answer: 2. Motor planning

Explanation: . Neocerebellum comprises of remaining parts of the posterior cerebellum viz., the declive, tuber and the lateral ansiform and paramedian lobules. The neocerebellum receives information from the cerebral cortex and pons. It occupies the more lateral regions of the cerebellar cortex. It is concerned with skilled voluntary movements. Ref: guyton and hall textbook of medical physiology 12 edition page number: 780,781,782